Differential growth means:
1. Difference between growth and development
2. Difference between individual growth
3. Acceleration in growth
4. Different tissues grow at different times rate and amount

Correct answer: 4. Different tissues grow at different times rate and amount